Which of the following drug is not a component of triple drug therapy for helicobacter pylori:
1. Lansoprazole
2. Clarithromycin
3. Metronidazole
4. Cimetidine

Correct answer: 4. Cimetidine

Explanation: Ans. D: Cimetidine Triple therapy is considered to be the standard treatment for children. A proton pump inhibitor combined with two antibiotics has been shown to be very effective in clearing H pylori from the stomach. The current recommendation is treatment with amoxicillin, clarithromycin, and a proton pump inhibitor (lansoprazole) for 2 weeks.